Three bony point relationship is maintained in -
1. Supracondylar # humerus
2. Dislocation of elbow
3. # Lateral condyle
4. Intercondylar #

Correct answer: 1. Supracondylar # humerus

Explanation: Three point bony relationship is maintained in supracondylar fracture humerus.